Lassa fever virus belongs to family
1. Arenaviridae
2. Bunyaviridae
3. Flaviviridae
4. Reoviridae

Correct answer: 1. Arenaviridae

Explanation: Answer- A. ArenaviridaeThere are two main phylogenetic branches of Arenaviridae: the Old World viruses, such as lassa fever and lymphocytic choriomeningitis (LCM) viruses.